All of the following are the causes of relative polycythemia except:
1. Dehydration.
2. Dengue haemorrhagic fever
3. Gaisbock syndrome
4. High altitude.

Correct answer: 4. High altitude.

Explanation: Answer is D (High altitude) High altitude is associated with physiological increase in erythropoetin levels and leads to absolute polycythemia and not relative polycythemia. Relative erythrocytosis due to reduction in plasma volume alone is also known as stress or spurious erythrocytosis or `Geisbock's syndrome'